Pathological jaundice criteria includes all except:
1. 24 hours later but within 72 hours
2. More than 14 days persistence
3. >2mg/dL conjugated bilirubin
4. Clay colored stool

Correct answer: 1. 24 hours later but within 72 hours

Explanation: Ans. (a) 24 hours later but within 72 hoursRef.: OP Ghai 8th ed./172Presence of any of the following signs denotes that the jaundice is pathological* Clinical jaundice detected before 24 hours of age* Rise in serum bilirubin by more than 5 mg/ dL/day* Serum bilirubin more than 15 mg/dL* Clinical jaundice persisting beyond 14 days of life* Clay/white colored stool and/or dark urine staining the clothes yellow.* Direct bilirubin >2 mg/ dL at any time.Characteristics of Physiological Jaundice* First appears between 24-72 hours of age* Maximum intensity seen on 4-5th day in term and 7th day in preterm neonates.* Does not exceed 15 mg/dL.* Clinically undetectable after 14 days.* No treatment is required but baby should be observed closely for signs of worsening jaundice.